Neoadjuvant chemotherapy stands for -
1. Chemotherapy along with surgery
2. Chemotherapy before surgery
3. Chemotherapy after surgery
4. Chemotherapy along with radiation therapy

Correct answer: 2. Chemotherapy before surgery

Explanation: Ans. B. Chemotherapy before surgeryNeoadiuvant chemotherapy refers to Combination of Chemotherapy and surgery/radiotherapy in which chemotherapy is given prior to surgery/radiotherapy.